Snowflake cataract present in?
1. Diabetes Mellitus
2. Galactosemia
3. Chalcosis
4. Myotonic Dystrophy

Correct answer: 1. Diabetes Mellitus

Explanation: Ans. is 'a' i.e., Diabetes Mellitus DiseaseCataractMyotonic DystophyChristmas tree cataractWilson's disease, chalcosisSunflower cataractDM, Down's SyndromeSnowflake cataractAtopic dermatitisBlue dot cortical cataract, posterior subcapsular cataractCongenital rubellaNuclear cataractGalactosemiaOil drop cataractComplicated cataract (Iridocyclitis, High myopia)Posterior cortical breads's crumb appearance Polychromatic lusture / Rainbow cataractBlunt traumaVossius ring on anterior surface of lens Rosette shaped cataract